All of the following conditions are associated with Hyperthyroidism, except -
1. Hashimoto's Thyroiditis
2. Grave's Disease
3. Toxic Multinodular Goiter
4. Struma ovary

Correct answer: 1. Hashimoto's Thyroiditis

Explanation: Question repeated Hashimoto's thyroiditis, also known as chronic lymphocytic thyroiditis, is an autoimmune disease in which the thyroid gland is gradually destroyed. Early on there may be no symptoms. Over time the thyroid may enlarge forming a painless goitre. Some people eventually develop hypothyroidism with its accompanying weight gain, feeling tired, constipation, depression, and general pains. After many years the thyroid typically shrinks in size. Potential complications include thyroid lymphoma. Hashimoto's thyroiditis is thought to be due to a combination of genetic and environmental factors. Risk factors include a family history of the condition and having another autoimmune disease. Diagnosis is confirmed with blood tests for TSH, T4, and antithyroid antibodies. Other conditions that can produce similar symptoms include Graves' disease and nontoxic nodular goiter. Hashimoto's thyroiditis, regardless of whether or not hypothyroidism is present, can be treated with levothyroxine. If hypothyroidism is not present some may recommend no treatment while others may treat to try to reduce the size of the goitre. Those affected should avoid eating large amounts of iodine; however, sufficient iodine is required especially during pregnancy. Surgery is rarely required to treat the goitre.